All of the following are true regarding Norwegian scabies except
1. Psoriasiform plaques common
2. Itching is mild or absent
3. Large number of parasites present
4. Children commonly affected

Correct answer: 4. Children commonly affected

Explanation: Norwegian or crusted scabies Seen in immunocompromised patients (with lymphoreticular or other malignancies, HIV infection, and those on immunosuppressives) and those who are mentally challenged. Clinical presentation:- Thick, scaling, crusted plaques that are found most commonly on the hands, feet, and scalp but may be generalized in distribution Lesions contain thousands of mites. May cause epidemics of ordinary scabies in contacts because of high load of mites. Ref:- Dermatology review by Asra Ali; pg num:- 290